Fatty acid present in breast milk which is important for growth & CNS development is:
1. Docosahexaenoic acid
2. Palmitic acid
3. Linoleic acid
4. Linolenic acid

Correct answer: 1. Docosahexaenoic acid

Explanation: Human milk contains 30 times more DHA than cow's milk- predominant fatty acid in brain and retina